Site where endolymph is seen
1. Scala vestibule
2. Scala media
3. Helicotrema
4. Organ of corti

Correct answer: 2. Scala media

Explanation: Endolymph fills the entire membranous labyrinth(scala media). Ref: Dhingra 6th edition pg no:10